Postmortem caloricity is not seen in
1. Strychnine poisoning
2. Typhoid
3. Organophosphorous poisoning
4. Septicemia

Correct answer: 3. Organophosphorous poisoning

Explanation: The most logical answer could be Organophosphorous poisoning.
PM caloricity is seen in condition where heat is produced inside the body (endogenous heat production).